Which of the following drugs is not given in dilated cardiomyopathy?
1. Beta blocker
2. Calcium channel blocker
3. Spironolactone
4. ACE inhibitors

Correct answer: 2. Calcium channel blocker

Explanation: b. Calcium channel blocker(Ref: Nelson's 20/e p 2275)Treatment of Dilated Cardiomyopathy:Drugs used include diuretics, ACE inhibitors, angiotensin receptor blockers, digitalis, b-blockers (carvedilol or metoprolol)In patients presenting with extreme degrees of heart failure or circulatory collapse, intensive care measures are often required, including IV inotropes, diuretics, mechanical ventilatory support +- circulatory support, which may include ventricular assist devices, extracorporeal membrane oxygenation (ECMO), and ultimately cardiac transplantation.In patients with DCM and atrial or ventricular arrhythmias, specific antiarrhythmic therapy should be instituted.